Which muscle is not supplied by ulnar nerve
1. Flexor carpi ulnaris
2. Adductor pollicis
3. 1nd & 2nd lumbrical
4. Interossei

Correct answer: 3. 1nd & 2nd lumbrical

Explanation: 1st and 2nd lumbricals are supplied by median nerve. Flexor carpi ulnaris is supplied by branches from ulnar nerve in the forearm. Adductor pollicis and interossei muscles are supplied by deep branch of ulnar nerve. B D Chaurasia 7th edition Page no: 181,182